Which of the following is a mature defence mechanism -
1. Rationalization
2. Humor
3. Denial
4. Displacement

Correct answer: 2. Humor